The following are true about HCC except
1. It has a high incidence in East Africa and South East Asia
2. Its world wide incidence parallels the prevelance of hepatitis B
3. Over 80% of tumors are surgically resectable
4. Liver transplantation offers the only chance of cure in those with unresectable disease

Correct answer: 3. Over 80% of tumors are surgically resectable

Explanation: Option C: Only 15-20% is resectable, because rest of the tumors have Multicentricity, Bilobar involvement Portal vein invasion, Lymphatic metastasis Ref: Sabiston 20th edition Pgno :1458-1463